Less gastrointestinal bleed is seen in the following NSAID.
1. Meloxicam
2. Naproxen
3. COX2 specific inhibitors
4. Ibuprofen

Correct answer: 3. COX2 specific inhibitors